A 25-year-old man with a history of hearing voices is brought to the emergency department by his family because the voices are telling him to kill his mother. He believes that aliens are trying to abduct him. These delusions and hallucinations have been present over the past 6 months. His family denies a history of depression or manic episodes. The patient is admitted to an inpatient psychiatry unit and started on haloperidol. Three hours after the initiation of therapy, he develops stiffness and muscle spasms of the neck and spine muscles. 

Which of the following is the mechanism of action of the drug that should be used in the acute management of this patient?
1. Anticholinergic
2. Increase in glutamate
3. Increase of intracellular Ca+2 concentration
4. Serotonin agonist

Correct answer: 1. Anticholinergic